Folic acid:
1. Is also called as pteroyl glutamic acid
2. Is useful in carriage of one carbon atom moiety
3. Tetrahydrofolate is the active form
4. All of the above

Correct answer: 4. All of the above

Explanation: All the given statements about folic acid are true. From essential of medical pharmacology K D Tripati 7th edition Page no 609